Incubation period of chancroid is
1. Less than 7 days
2. 10-15 days
3. 2-3 weeks
4. 3-4 weeks

Correct answer: 1. Less than 7 days